Which of the following is true regarding non alcoholic fatty liver -a) Seen in diabeticb) Clofibrate is used in treatmentc) Commonest cause of cryptogenic cirrhosisd) Associated with transaminitis
1. abc
2. ad
3. bc
4. acd

Correct answer: 4. acd